Neuroblastoma originates from –
1. Adrenals
2. Mediastinum
3. Neck
4. All of these

Correct answer: 4. All of these

Explanation: The common sites of neuroblastoma are : -


Adrenal (most common)      
Pelvis
Cervical area (Neck)  
 Posterior mediastinum  
Paravertebral retroperitoneum